A man had infection with Extended spectrum betalactamase (ESBL) Klebsiela pneumonae is started with cefotaxim plus amikacin therapy. On culture sensitivity after 48 hrs ESBL Klebsiela were found. Which of the following would be the best next course of action?
1. Continue with same antibiotic but in higher dose
2. Change ceftriaxone to ceftazidime
3. Start imipenem therapy in place of ceftriaxone
4. Change Amikacin to Quinolones

Correct answer: 3. Start imipenem therapy in place of ceftriaxone

Explanation: Ans. is 'c' i.e., Start imipenem therapy in place of ceftriaxone Carbapenems like imipenem are the only beta lactams reliably efficacious against ESBL producing bacteria. Drugs used for ESBL producing bacteria are: A) beta-lactamase inhibitor combination o Clavulinic acid +Amoxcillin Clavulanic acid + Ticarcillin o Sulbactam + ampicillin o Tazobactam + piperacillin B) Cefamycins Cefoxitin, Cefotetan Carbapenems : Imipenem, meropenem